Commonest type of ca gallbladder with gall stones is ?
1. Adenocarcinoma
2. Anaplastic carcinoma
3. Sq. cell carcinoma
4. Transitional cell ca

Correct answer: 1. Adenocarcinoma

Explanation: Ans is 'a' ie Adenocarcinoma almost 90% of ca G.B. are associated with gall stones. Pathological types of G.B. carcinoma Adenocarcinoma - 90% Undifferentiated ca - 7% Squamous cell ca - 3% Now its very easy to decide the commonest type of ca G.B. associated with Gall stones.